Secreting active thyroid follicles are lined by
1. Columnar
2. Cuboidal
3. Squamous
4. Pseudo stratified squamous

Correct answer: 1. Columnar

Explanation: Thyroid follicles lining epithelium depends upon the secretion of thyroxine More the secretion,more the endoplasmic reticulum,more the height of the cell, becoming columnar. Resting follicle - Squamous Normal follicle - Cuboidal Active follicle - Columnar Ref: IB Singh textbook of histology 6e pg 325.